Stain not used for lipids
1. Oil red O
2. Congo red
3. Sudan 3
4. Sudan black

Correct answer: 2. Congo red

Explanation: Ref Bancrofts 's histopathology 5/e p204 Congo red is used for staining amyloid and not lipids